Antinuclear antibodies are seen in:
1. SLE
2. RA
3. Sjogrens syndrome
4. All

Correct answer: 4. All

Explanation: Ans: d (All) Ref: Harrison, 16th ed, p. 1563Antinuclear antibodies are directed against a variety of nuclear antigens and can be grouped into four antigens1. Antibodies to DNA2. Antibodies to histones3. Antibodies to non histone proteins bound to DNA4. Antibodies against nuc leolar antigensMost commonly used method to diagnose antinuclear antibodies - Indirect immunofluorescenceThey are associated with SLE as well as other autoimmune diseases basic patterns of ANA# Homogenous or diffuse nuclear staining - antibodies to histone chromatin# Rim or peripheral staining - antibodies to DS DNA# Speckled pattern - eg: Sm antigen, SS-A, SS-B# Nucleolar pattern - systemic sclerosis# Best screening test for sle - ANA# Most specific in sle - anti ds DNA# Autoantibody in sle with decreased risk of nephritis - anti ro, anti la# Autoantibody in drug induced sle - antihistone antibody ( aiims nov 2007)# Autoantibody associated with depression or psychosis in SLE - anti ribosomal p# Autoantibody associated with subcutaneous and neonatal lupus - anti ro antibody# Autoantibody in SLE correlating with active CNS lupus - antineuronal antibodyAntinuclear antibodies in various autoimmune diseases# Primary biliary cirrhosis- antimitochondrial antibody# Inflammatory myopathy- antihistidyl t-RNA synthetase (anti Jol)# Sjogrens syndrome- anti Ro and anti La# Diffuse scleroderma- anti topoisomerase antibody# CREST syndrome- anti centromere antibody # Celiac disease- antiendomysial antibody# Crohn disease- anti saccharomyces cervisea antibody# Ulcerative colitis- ANCA # Rheumatoid arthritis- anti ccp antibody